Regarding the normal curve, true is/are-a) Both limbs of the curve touch the baselineb) Curve is bilaterally symmetricalc) There is a skew to the rightd) There is a skew to the lefte) Mean, Median, Mode coincide
1. be
2. ad
3. bc
4. ce

Correct answer: 1. be

Explanation: Confidence limit of normal curve can never be 100%; therefore, limbs of curve never touch the baseline.
Mean, Median and mode all coincide → No skew.